Patient can hear music every time when he turns on the tap and hears the sound of water. This is an example of :
1. Reflex hallucination
2. Functional hallucination
3. Visual hallucination
4. 1st person auditory hallucination

Correct answer: 2. Functional hallucination

Explanation: Functional hallucination : here the stimulus and perecption are in same modality.
V/S
Reflex hallucination : here the stimulus and pereception are in different modality.